Which of the following mosquitoes has the maximum flight range
1. Anopheles
2. Culex
3. Aedes
4. All have equal flight range

Correct answer: 2. Culex